Exclamation mark hairs is seen in :
1. Alopecia areata
2. Traumatic alopecia
3. Lichen planus
4. All

Correct answer: 1. Alopecia areata

Explanation: A. i.e. Alopecia areata